Muscle passing through lesser sciatic foramen is?
1. Obturator externus
2. Obturator intemus
3. Pectinus
4. Piriformis

Correct answer: 2. Obturator intemus

Explanation: ANSWER: (B) Obturator internusREF: Grays anatomy 40th ed chapter 40See table of "STRUCTURES PASSING THROUGH GREATER AND LESSER SCIATIC FORAMINA" in Anatomy 2013 Session 2